Best investigation to detect rupture of breast implant is
1. USG
2. Mammography
3. MRI
4. X - ray

Correct answer: 3. MRI

Explanation: Linguine sign is seen in ruptured breast implant.